A middle aged female complained about milky discharge with fishy odor. Microscopic examination of vaginal discharge shows clue cells. What is she suffering from?
1. Bacterial vaginosis
2. Herpes virus
3. Syphilis
4. Toxoplasmosis

Correct answer: 1. Bacterial vaginosis

Explanation: Criteria for bacterial vaginosis: Elevated vaginal pH (>4.5) Positive amine odor when vaginal fluid is mixed with 10% potassium hydroxide (KOH)--the so-called "whiff" test Presence of clue cells (squamous epithelial cells covered with adherent bacteria) in a saline (wet mount) preparation of the vaginal fluid Homogenous milky or creamy vaginal discharge According to this criteria, bacterial vaginosis is present if three of the following findings are present. Ref: Schwebke J.R. (2007). Chapter 11. Bacterial Vaginosis. In J.D. Klausner, E.W. Hook III (Eds). CURRENT Diagnosis & Treatment of Sexually Transmitted Diseases.